Sense organ for hearing is
1. Organ of Corti
2. Cristae
3. Macula
4. None

Correct answer: 1. Organ of Corti

Explanation: Organ of Corti is the sense organ of hearing and is situated on the basilar membrane. (Ref: Diseases of EAR, NOSE and THROAT PL Dhingra 6th edition; page no.13)